Which of this is not a sign of increased ICT? Copper beaten appearance
1. Copper beaten appearance
2. Erosion of dorsum sella
3. Ballooning of sella
4. Sutural diastasis

Correct answer: 3. Ballooning of sella

Explanation: Ans. Ballooning of sella